Multiple lytic lesions of skull with beveled edges are seen in –
1. Eosinophilic granuloma
2. Metastases
3. Multiple myeloma
4. Neuroblastoma

Correct answer: 1. Eosinophilic granuloma

Explanation: Punched out lesions of skull are seen both in Eosinophilic granuloma and multiple myeloma. However, beveled edges (double contour) is characteristic of eosinophilic granuloma due to uneven destruction of the inner and outer table of the skull.

           Punched out lesions of skull                    →  Multiple myeloma
           Punched out lesions with beveled edges   →  Eosinophilic granuloma